Management of typical febrile seizures include except-
1. Sponging
2. Paracetamol ibuprofen
3. Intermittent diazepam
4. Prophylactic phenobarbitone

Correct answer: 4. Prophylactic phenobarbitone

Explanation: Ans. is 'd' i.e., Prophylactic phenobarbitone